Hydroxyethyl starch is a
1. Vasodilator
2. Inotrope
3. Plasma expander
4. Diuretic

Correct answer: 3. Plasma expander

Explanation: C i.e. Plasma expander Plasma expanders are high molecular weight substances which exert colloidal osmotic pressure and when infused intravenously retain fluid in the vascular compartment.Substances em lo ed as Plasma expanders include Human albuminDextran QHydroxyethyl starch (Hetastarch) QDegraded gelatin polymerPolyvinyl pyrrolidane